A 47-year-old man is found to have edema, ascites, and hepatosplenomegaly. The examination of his neck veins reveals elevated venous pressure with a deep y descent. Heart size on x-ray is normal. Which of the following etiologies is not a possible explanation for this syndrome?
1. rheumatic fever
2. TB
3. unknown cause
4. previous acute pericarditis

Correct answer: 1. rheumatic fever

Explanation: Commonly, no cause is found for constrictive pericarditis. Some patients do give a history of previous acute pericarditis. TB is now an uncommon cause. Cancer can cause constriction but is uncommon. Rheumatic fever does not cause pericarditis.